Therapeutic plasma level of digoxin is
1. 0.1-0.3 ng/ml
2. 0.5-1.4 ng/ml
3. 1.2 to 2 ng/ml
4. More than 2.4 ng/ml

Correct answer: 2. 0.5-1.4 ng/ml

Explanation: Oral absorption of digoxin is 60-80 %Plasma half-life is about 40 hrsToxic concentration is >2ng/ml(Ref: Essentials of medical pharmacology, K.D Tripathi, 7th edition)